Secondary glaucoma associated with angle recession is seen in
1. Concussion injury
2. Radiation injury
3. Penetrating injury
4. Chemical injury

Correct answer: 1. Concussion injury

Explanation: A i.e. Concussion injury Angle recession involves rupture of face of ciliary body, the portion that lies between the iris root and the scleral spur. It is detected gonioscopically as widening of ciliary body band. It is seen in large number of blunt trauma Q patients but glaucoma Q develops in 6-9%.